Inferior gluteal nerve supplies-
1. Obdurator externus
2. Gluteus maximus
3. Gluteus medius
4. Quadratus femoris

Correct answer: 2. Gluteus maximus

Explanation: Ans. is 'b' i.e., Gluteus maximus NerveRoot ValueMuscles suppliedSuperior Gluteal NerveL4, L5, S1Gluteus medius, Gluteus minimus, Tensor Fascia lataInferior Gluteal nerveL5,S1,S2Gluteus Maximus